Cobra head sign on IVP is classically seen with
1. Ureterocele
2. Ectopic ureter
3. Horse shoe kidney
4. Medullary sponge kidney

Correct answer: 1. Ureterocele

Explanation: Cobra head sign / Adder head / Snake appearance.